Haemoglobin can bind to all the following except
1. O2
2. CO2
3. SO2
4. NO

Correct answer: 3. SO2

Explanation: Ans: c (SO2) Ref.Ganong 22nd ed/p.667.Hb does not bind to SO2.Functions of Hb:-It facilitates 02 transportIt facilitates C02 transportIt has an important role as a bufferIt transports NO.Hemoglobin binds NO in the lungs and releases it in the tissues, where it promotes vasodilation.In arterial blood,Total volume of C02 - 49ml/dlAmount of C02 transported as HC03- 43.8ml/dl ~ (90%)Amount of C02 transported as carbino compounds - 2.6ml/dl ~ (5%)Amount of C02 in dissolved state - 2.6ml/dl (5%)Note:-1 gm Hb can carry 1.39ml of oxygen, when fully saturated. 1,34ml oxygen in vivo.1 gm Hb carries 3.34mg Iron in it.Oxygen entering the body per minute = 250mlOxygen leaving the body per minute = 200ml (288L/day)pH of arterial blood = 7.4 and pH of venous blood = 7.36.Haematocrit of venous blood increase by 3%.Chloride shift takes about 1 second to occur.